A person voluntarily acting like having a disease is said to be:
1. Hypochondriac
2. Masochist
3. Gerontophilia
4. Malingerer

Correct answer: 4. Malingerer

Explanation: Ans. Malingerer